'Disinfectant' kills the following -
1. All microorganisms
2. Pathogenic microorganisms
3. Viruses and fungi
4. Non - pathogenic microorganisms

Correct answer: 2. Pathogenic microorganisms

Explanation: Disinfection is the destruction or removal of all pathogenic organisms or organisms capable of giving rise to infection Including spores Ref Ananthanarayan & paniker's textbook of Microbiology 9th edition page no 28